A patient presented with normal eyesight and absence of direct and consensual light reflexes. Which of the following cranial nerves is suspected to be lesioned
1. Occulomotor
2. Trochlear
3. Optic
4. Abducent

Correct answer: 1. Occulomotor

Explanation: For light reflex, CN2 and CN3 are required. Since vision is normal CN2 is intact. Probably lesion is at the level of CN3